Lowest level of Integration of Stretch reflex is at?
1. Cerebral cortex
2. Medulla
3. Lower medulla
4. Spinal Cord

Correct answer: 4. Spinal Cord

Explanation: Ans. D Spinal CordRef: Ganong's Physiology, 23rd ed. chapter 9* When a skeletal muscle with an intact nerve supply is stretched, it contracts. This response is called the stretch reflex.* The stimulus that initiates the reflex is stretch of the muscle, and the response is contraction of the muscle being stretched.* The sense organ is a small encapsulated spindle like or fusiform shaped structure called the muscle spindle, located within the fleshy part of the muscle.* The impulses originating from the spindle are transmitted to the CNS by fast sensory fibers that pass directly to the motor neurons which supply the same muscle.* The neurotransmitter at the central synapse is glutamate. The stretch reflex is the best known and studied monosynaptic reflex and is typified by the knee jerk reflex.